Brodie's abscess is a terminology for:
1. Subungual infection
2. Subacute osteomyelitis
3. Web space infection
4. Infected hematoma

Correct answer: 2. Subacute osteomyelitis

Explanation: Brodie's Abscess: Seen in immunocompetent Host Long standing localized pyogenic abscess in the bone (long standing because of strong defence mechanism of body). Involves long bones (metaphysis or diaphysis), e.g. Upper end tibia. Classical Brodie's abscess looks like a small walled off (Sclerotic margins) cavity in bone with little or no periosteal reaction. Usual isolated organism is Staphylococcus aureus (although most cultures are negative). Treatment:Immobilization and antibiotics for 6 weeks if the diagnosis is clear. When the diagnosis is unsure then an open biopsy is needed and the lesion may be curetted at the same time.